'Pie in the sky' visual field defect seen in lesions of:
1. Optic tract
2. Temporal cortex
3. Optic chiasma
4. Occipital cortex

Correct answer: 2. Temporal cortex

Explanation: A. Left Hemianopia Left optic nerve lesion B. Bitemporal Hemianopia Optic chiasm lesion C. Right Nasal Hemianopia Outer optic tract lesion Internal carotid artery thrombus D. Right Homonymous Hemianopia Optic tract lesion E. Right Superior Quadrantanopia Meyer's Loop lesion Left temporal lesion F. Right Inferior Quadrantanopia Dorsal optic radiation lesion Left parietal lesion G. Right Hemianopia with Macular Sparing PCA infarct Superior/ Inferior quadrantanopia Lesion of optic radiation. Lesion of the meyer's loop (temporal pathway)-Superior quadrantanopia (pie in the sky) Lesions of the parietal pathway- inferior quadrantanopia (pie on the floor) causes- neoplasm, inflammatory process, ischemia, infection (eg: encephalitis)